Eustachian tube opens in middle ear in
1. Floor
2. Anterior wall
3. Superior wall
4. Posterior wall

Correct answer: 2. Anterior wall

Explanation: The anterior wall is narrow due to approximation of the medial and lateral walls, and because of descent of the roof. The uppermost part of the anterior wall bears the opening of the canal for the tensor tympani. The middle part has the opening of the auditory tube. the inferior part of the wall is formed by a thin plate of bone which forms the posterior wall of the carotid canal. the plate separates the middle ear from the internal carotid artery. this plate of bone is perforated by the superior and inferior sympathetic carotico tympanic nerves and the tympanic branch of the internal carotid artery. Ref BDC volume;3 6th edition